Dependency' ratio includes -
1. Less than 15 years
2. Less than85 years
3. 30-50 years
4. None

Correct answer: 1. Less than 15 years

Explanation: Ans. is 'a' i.e.. Less than 15 years Dependency ratiooThe proportion of persons above 65 years of age and children below 15 years of age are considered to be dependent on the economically productive age group {15-64 years).o The ratio of combined age group 0-14 years plus 65 years and above to the 15-65 years age group is known as total dependency ratio.o It is also referred to as the societal dependency ratio and reflects the need for a society to provide for their younger and older population groups.